Hunt Hess scale is used for
1. SAH
2. SDH
3. Menigiomas
4. Tuberculosis

Correct answer: 1. SAH

Explanation: Ans. (a) SAH* Hunt and Hess Scale is used for Sub arachnoid hemorrhage* It helps to predict the outcome based on Clinical features.